All are the predisposing factors of osteogenic sarcoma except -
1. Paget's disease of bone
2. Radiation
3. Viral infection
4. Bone infarction

Correct answer: 3. Viral infection

Explanation: Causes of secondary osteosarcoma : 

Paget disease 
Fibrous dysplasia
Multiple osteochondroma
Chronic osteomyelitis
Radiation  
Enchondromatosis  
Bone infarction